Hyperaldosteronism is associated with all, EXCEPT:
1. Hypernatremia
2. Hypokalemia
3. Hypertension
4. Metabolic acidosis

Correct answer: 4. Metabolic acidosis

Explanation: Primary hyperaldosteronism causes extracellular volume expansion and hypertension by increasing distal sodium reabsorption. Aldosterone increases H+ and K+ excretion, producing metabolic alkalosis and hypokalemia. Therapy for saline-unresponsive metabolic alkalosis includes surgical removal of a mineralocorticoid-producing tumor and blockage of aldosterone effect with an ACE inhibitor or with spironolactone. Metabolic alkalosis in primary aldosteronism can be treated only with potassium repletion. Ref: Cho K.C. (2013). Chapter 21. Electrolyte & Acid-Base Disorders. In M.A. Papadakis, S.J. McPhee, M.W. Rabow (Eds), CURRENT Medical Diagnosis & Treatment 2013.